Maximum calcium is seen in -
1. Jowar
2. Bajara
3. Ragi
4. None

Correct answer: 3. Ragi

Explanation: Calcium:- The amount of calcium in blood is usually 10 mg/dl. Functions: 1. Formation of bones and teeth, coagulation of blood, comtraction of muscles, cardiac action , relay of electrical and chemical messages. 2. Keeping cell membrane intact, metabolism of enzymes and hormones. Sources: Natural sources includemilk, milk products, egg and fish. A litre if cow's milk provides 1200 mg of calcium and human milk about 300 mg. Most cereals are generous providers of calcium and millet ragi is rich in calcium. Rice is very deficient in calcium. The cheapest dietary source is green leafy vegetable . The limiting factor in its absorption is the presence of oxalic acid which forms an insoluble compound with calcium. {Reference: Park's textbook of community medicine 23 rd edition, pg no. 622}